The cell type most typically seen in the Keratic precipitates of non-granulomatous uveitis is:
1. Polymorphonuclear cells
2. Lymphocytes
3. Plasma cells
4. Epitheloid cells

Correct answer: 2. Lymphocytes

Explanation: Ans. Lymphocytes